All are true about cryptococcus except
1. Polysaccharide capsule
2. Reproduces by budding
3. Pseudohyphae
4. Urease positive

Correct answer: 3. Pseudohyphae

Explanation: Cryptococcus is a yeast having round or oval budding cell. Pseudohyphae is a characteristic feature of yeast-like fungi. Ref: Textbook of Microbiology, Ananthanarayan and Paniker; 9th edition